True about Measles rash appearance:
1. Along with Koplik spots
2. 1-2 days before Koplik spots
3. 1-2 days after Koplik spots
4. Post measles stage

Correct answer: 3. 1-2 days after Koplik spots

Explanation: RASH IN MEASLES Starts 12-24 hours after appearance of Koplik spots. Retro -auricular origin spreads to other parts of body (fades in opposite direction). Takes 1 - 2 days to cover body * Fever is highest and patient is sickest on day of rash.